SNB angle describes the relationship of the
1. Maxilla to the cranial base
2. Mandible to the cranial base
3. Maxilla to the mandible
4. All of the above

Correct answer: 2. Mandible to the cranial base